A patient with conjunctival infection, which led to corneal perforation, was positive for Gram-negative coccoid appearance on Gram stain. Further investigation showed small translucent colonies, which is oxidase positive. What could be the most probable causative organism?
1. Moraxella catarrhalis
2. Neisseria gonorrhoea
3. Pseudomonas aeruginosa
4. Acinetobacter actinatus

Correct answer: 2. Neisseria gonorrhoea

Explanation: Ans. b. Neisseria gonorrhea Gram negative coccoi with small translucent colonies, which is oxidase positive is Neisseria gonorrhea. Hyperacute Conjunctivitis of Adults or Gonococcal Conjunctivitis Disease affects adults, predominantly males Infection directly spreads from genitals to eye Markedly decreased incidence of gonococcal conjunctivitis Characteristic Features of Gonococci: Oxidase positive Small transluscent colonies Clinical Features: Moderate to severe pain with copious purulent discharge and marked swelling of eyelids Conjunctiva shows marked chemosis, congestion and papillae giving bright red velvety appearance Frequently, a pseudomembrane is seen on the conjunctival surface Preauricular lymph nodes are usually enlarged and tender Hyperacute Conjunctivitis of Adults or Gonococcal Conjunctivitis Associations: Gonococcal conjunctivitis is usually associated with urethritis and arthritis Complications: Corneal involvement is frequent as the gonococcus can invade the normal cornea through an intact epithelium. It may occur in the form of diffuse haze and edema, central necrosis, corneal ulceration or even perforation. Iridocyclitis Systemic complications (rare): Arthritis, endocarditis and septicemia